Norplant contains how many capsule of levonorgestrel:
1. 4
2. 6
3. 8
4. 10

Correct answer: 2. 6